Articular disc of TMJ is made up of:
1. Elastic cartilage
2. Fibrocartilage
3. Bony processes
4. Fibrous ligament and hyaline cartilage only

Correct answer: 2. Fibrocartilage